Treatment for Filariasis is,
1. Chloroquin
2. Diethyl Carbamazine
3. Tetracycline
4. Praziquantel

Correct answer: 2. Diethyl Carbamazine